A patient with pheochromocytoma would secrete which of the following in a higher concentration?
1. Norepinephrine
2. Epinephrine
3. Dopamine
4. VMA

Correct answer: 1. Norepinephrine

Explanation: Ans. is 'a' i.e., Norepinephrine o Most pheochromocytomas contain and secrete both nor epinephrine and epinephrine and the percentage of norepine phrine is usually greater than in normal adrenal.Pheoch rornocvtom||AdrenalCan't suppress ACTHo Most of them secrete norepinephrineo Exclusively secrete nor epinephrine